Blow out orbit is characterized by:
1. Diplopia
2. "Tear drop: sign
3. Forced duction test
4. All

Correct answer: 4. All

Explanation: A i.e. Diplopia; B i.e. Tear drop sign; C i.e. Forced duction test Blow out fracture is fracture of orbital floor or medial wall Q. It presents with emphysema of lid, subconjunctival ecchymosis, diplopia & forced duction test Q (due to entrapment of muscle), epistaxis, proptosis, enopthalmos & parasthesia in distribution of inferior alveolar nerve. X ray shows tear drop or hanging drop sign Q